"Erosion of joint" is not a feature of .
1. Psoriatic arthritis
2. Rheumatoid arthritis
3. Systemic lupus erythematosus
4. Reiters disease

Correct answer: 3. Systemic lupus erythematosus

Explanation: Ref Semantischolar.org